Hypercalcemia is seen in all except
1. Sarcoidosis
2. Multiple myeloma
3. Chronic renal failure
4. Prolonged immobilization

Correct answer: 3. Chronic renal failure